Philadelphia chromosome is an example of -
1. Balanced translocation
2. Deletion
3. Non-dysjunction
4. Duplication

Correct answer: 1. Balanced translocation